Paul Bunnell Test is used to detect Infectious mononucleosis caused by
1. Cytomegaloviruses
2. Epstein Barr Virus
3. Toxoplasmosis
4. Non of the above

Correct answer: 2. Epstein Barr Virus

Explanation: The heterophile Paul - Bunnell test is positive only in disease caused by the EB Virus.